Select false statement regarding case fatality rate
1. It is a killing power of disease
2. It is 'complement of survival rate'
3. CFR is a proportion
4. Time interval is specified in CFR

Correct answer: 4. Time interval is specified in CFR

Explanation: CFR = 1 - Survival rate Time interval is not specified. Determines killing power of disease/ virulence of organism. CFR is a Proportion (Expressed always in %). CFR of Rabies 100%.